GnRH agonists used in treatment of leiomyoma suppress progesterone levels after
1. 2 weeks
2. 3 weeks
3. 4 weeks
4. 5 weeks

Correct answer: 1. 2 weeks

Explanation: After 1-2 weeks of GnRH agonist therapy, estrogen and progesterone levels start to decline.